Inclusion conjunctivitis is caused by:
1. Chlamydia trachomatis
2. Chlamydia psittaci
3. Herpes
4. Gonorrhoea

Correct answer: 1. Chlamydia trachomatis

Explanation: Ans. is 'a' i.e. Chlamydia trachomatis Inclusion conjunctivitis is caused by chlamydia trachomatis (serotypes D- K).Chlamydial inclusion conjunctivitis is generally spread by sexual transmission from the genital reservoir of infection. The primary source of infection is a benign subclinical venereal disease producing a mild urethritis in the male and cervicitis in the female.The modes of transmission are orogenital activities and hand to eye spread of infective genital secretions. A common mode of transmission is through the water in swimming pools; thus the disease may occur in local epidemics (swimming pool conjunctivitis). It is also transmitted from the mother to the newborn.Treatment- azithromycin or doxycycline